In biliary obstruction, which vitamin deficiency will be seen:
1. B1
2. B12
3. Vitamin C
4. Vitamin K

Correct answer: 4. Vitamin K

Explanation: Ans: D i.e. Vitamin K Vitamin deficiencies In the developed world, thiamine (vitamin B1) deficiency is mainly encountered in chronic alcoholics. Poor diet, impaired absorption, storage and phosphorylation of thiamine in the liver, and the increased requirements for thiamine to metabolise ethanol all contribute. In the developing world, deficiency usually arises as a consequence of a diet based on polished rice Causes of vitamin B12 deficiency include dietary deficiency (strict vegetarians), gastric factors (hypochlorhydria, gastrectomy), pernicious anemia and small bowel factors (pancreatic exocrine insufficiency, fish tapeworm infestations, inflammatory disease, motility disorders etc.) Vitamin C deficiency is seen in conditions where there is increased requirement (trauma, burns, smoking, steroid therapy) or due to dietary deficiency (lack of dietary fruit and vegetables, infants fed exclusively on boiled milk) Vitamin K is a fat soluble vitamin and so the inability to absorb fat soluble vitamins, as occurs in biliary obstruction, results in coagulopathy.